A new born baby is brought with seizures refractory to treatment and continuous bruit through the anterior fontanelles. CT scan showed a midline lesion with hypoechogenicity and dilated lateral ventricles. The probable diagnosis is
1. Arachnoid cyst
2. Encephalocele
3. Teratomas
4. Vein of Galen Malformation

Correct answer: 4. Vein of Galen Malformation

Explanation: Vein of Galen malformation (VOGM) is a type of rare blood vessel abnormality inside the brain. In VOGM, misshapen arteries in the brain connect directly with veins, instead of connecting with capillaries, which help slow blood flow. This causes a rush of high-pressure blood into the veins. This extra pressure in the veins can cause a number of problems: The rush of blood toward the heart and lungs forces the heart to work overtime to get blood to the rest of the body. This can lead to congestive heart failure in some infants. Blood pressure in the arteries from the heart to the lungs may rise, causing a serious condition called pulmonary hypertension. The high pressure in the veins can prevent the infant's brain from draining adequately. This can lead to widespread brain injury and sometimes causes severe loss of tissue in the brain. Some infants can develop hydrocephalus (an enlarged head) if the VOGM blocks the normal flow of fluid in the brain Image : 3D C+ arterial phase Reference: GHAI Essential pediatrics, 8th edition